Jaipur foot was invented by
1. P.K. sethi
2. S.K. verma
3. B.L. sehgal
4. H.R. gupta

Correct answer: 1. P.K. sethi

Explanation: P.K. Sethi. Pramod Karan Sethi (28 November 1927-6 January 2008) was an Indian orthopedic surgeon. With Ram Chandra Sharma, he co-invented the "Jaipur foot", an inexpensive and flexible artificial limb, 1969.(Refer: Mohindra's Fundamentals of Orthopedics, 2nd edition, pg no. 466)